Which of the following statements about Pneumococcus is false:
1. Capsule aids in virulence
2. Commonest cause of Otitis media
3. Causes mild forms of Meningitis
4. Respiratory tract of carriers is most important source of infection

Correct answer: 3. Causes mild forms of Meningitis

Explanation: Meningitis is the most severe infection caused by pneumococci. Ref: Textbook of Clinical Pediatrics By A. Y. Elzouki, F. B. Stapleton, R. J. Whitley, William Oh, 2nd Edition, 2012, Page 1021; Textbook of Microbiology By Ananthnarayan, 8th Edition, Page 222